Which of the following is not a structural element of TMJ?
1. Sigmoid notch
2. Articular disc
3. Capsular ligament
4. Joint cavities

Correct answer: 1. Sigmoid notch

Explanation: Sigmoid notch (or) mandibular notch forms the sharp upper border of the ramus the condyle and coronoid process.